The critieria for validity of a screening test are-
1. Accuracy
2. Predictability
3. Sensitivity & specificity
4. Cost effectiveness

Correct answer: 3. Sensitivity & specificity

Explanation: Ref: Parks 23rd edition pg 138 Validity has 2 components : sensitivity and specificity. Validity (Accuracy) The term validity refers to what extend the test accurately measures what it purports to measure. Accuracy refers to the closeness with which measured values agree with "true" values.